Presence of infectious agent on clothes or dressings is termed
1. Infection
2. Infestation
3. Contamination
4. Contagion

Correct answer: 3. Contamination

Explanation: Contamination - the presence of an infectious agent on a body surface.; also on or in clothes; beddings; toys; surgical instruments or dressing or anther inanimate articles or substance including water, milk, and food. Ref: 25th edition, Park's Textbook of Preventive and Social Medicine, Page no. 101